A community suffering from dry mouth condition is likely to have
1. Increased incidence of dental caries
2. Decreased incidence of dental caries
3. Increased incidence of crack tooth syndrome
4. Decreased incidence of crack tooth syndrome

Correct answer: 1. Increased incidence of dental caries